Thanatology is the science that deals with -
1. Death in all its aspects
2. Solving paternity of the child
3. Identification of the living
4. Detection of lie

Correct answer: 1. Death in all its aspects

Explanation: Thanatology deals with death in all its aspects. There is a progression from clinical death to brain death, biological death and then cellular death. Brain death follows clinical death which is due to lack of oxygen. First cerebral cortex, then cerebellum, and then lower brain centres die. Thereafter the process of cellular death begins. Dr. Narayana Reddys Synopsis of Forensic Medicine & Toxicology 27th edition pg.66